Which of the following is not a component of thoracoscore ?
1. Performance status
2. Complication of surgery
3. ASA grading
4. Priority of Surgery

Correct answer: 2. Complication of surgery

Explanation: Complication of surgeryis not a component of THORACOSCORE Based on Thoracoscore , risk factors for in hospital mortality in adult patients after thoracic surgery are: Variable Risk factors Age >55 yrs Gender Male ASA physical status >2 Performance statusclassification(WHO) >3 Dyspnea score(MRC) >3 Procedure class Pneumonectomy Surgical priority Urgent or emergency Diagnosis Malignant Comorbid diseases >3